All of the following drugs useful in the treatment of a patient with acute bronchial asthma EXCEPT:
1. Ipratropium
2. Salbutamol
3. Monteleukast
4. Hydrocortisone

Correct answer: 3. Monteleukast

Explanation: Ans. C i.e. Monteleukast